Hypothyroidism in sub Himalayan is due to?
1. Iron
2. Iodine
3. Copper
4. Selenium

Correct answer: 2. Iodine

Explanation: ANSWER: (B) IodineREF: Park 20th ed p. 540'Iodine deficiency in sub himalayan terrain leads to endemic goitre and hypothyroidism"